Inverted saucer shaped lesion is found in –
1. Lepromatous leprosy
2. Tuberculoid leprosy
3. Borderline leprosy
4. Indeterminate leprosy

Correct answer: 3. Borderline leprosy

Explanation: Punched out or inverted saucer shaped lesions are seen in -


Mid borderline leprosy (BB) 
Borderline lepromatous (BL).